Which characteristic feature is seen in the kidney in Malignant hypertension -
1. Hyaline necrosis
2. Fibrinoid necrosis
3. Medial wall hyperplasia
4. Micro-aneurysm

Correct answer: 2. Fibrinoid necrosis